Most common site of hypertrophic keloid is -
1. Face
2. Leg
3. Presternal area
4. Arm

Correct answer: 3. Presternal area

Explanation: Ans. is 'c' i.e., Presternal area Keloids ---> It is a scar which shows extreme overgrowth so that scar tissues grows beyond the limits of original wounds and shows no tendency to resolve. Keloids grow on particular sites, these are ? a) Central chests (probably most common, not sure) b) Back c) Shoulder d) Earlobes Other points about Keloids & hvperophic scars Hypertrophic scars (FITS) and keloids represent an overabundance of fibroplasia in the dermal healing process. They are both characterized by excessive collagen deposition versus collagen degradation. HTS rise above the skin level but stay within the confines of the original wound and often regress over time. Keloids are defined as scars that grow beyond the border of the original wound and rarely regress spontaneously. Both HTS and keloids occur after trauma to the skin, and may be tender, pruritic, and cause a burning sensation. Keloids are more prevalent among dark pigmented ethnicitics (i.e. Africans, Asians & Hispanics) HTS usually develop within 4 weeks after trauma Keloids tend to occur 3 months to years after the trauma.